A "parasite" that may be a fungus is the initial clinical manifestation in up to 60% of patients with AIDS. This organism is
1. Cryptosporidium
2. Microsporidium
3. Blastocystis
4. Pneumocystis

Correct answer: 4. Pneumocystis

Explanation: One of the multiple criteria for classification of AIDS is the development of P. carinii pneumonia (PCP). Pneumocystis is a fungus formerly thought to be a parasite that was classified with the sporozoa. PCP may also be seen in patients with congenital or another acquired cellular immune dysfunction. Most patients with AIDS are given prophylactic aerosolized pentamidine or SXT-TMP for PCP. PCP is easily diagnosed in respiratory secretions by a direct fluorescent antibody test. Both the microsporidia and Cryptosporidium are intestinal parasites that also infect patients with AIDS, but these microorganisms cause protracted diarrhea. Blastocystis and Blastomyces are both yeasts and should not be confused with Pneumocystis or each other.